Plasma levels of hCG during pregnancy doubles every:
1. Daily
2. 2 days
3. 4 days
4. 6 days

Correct answer: 2. 2 days

Explanation: In normal pregnancy it doubles in every 48 hrs In ectopic pregnancy it doubles in every 5 to 7 days These occurs only until 7 weeks of gestation.